Peroxidases belong to which enzyme group?
1. Oxidase-Reductase
2. Lipase
3. Hydrolase
4. Transferase

Correct answer: 1. Oxidase-Reductase

Explanation: Ans. (a) Oxidase-ReductaseOxidoreductase enzyme groups can be remembered by mnemonic DOOP* Dehydrogenases* Oxidases* Oxygenases* Peroxidases